Which of the following respiratory structures is derived from the neural crest?
1. Endothelial cells
2. Epithelium of primary bronchi
3. Laryngeal cartilage
4. Tracheal glands

Correct answer: 3. Laryngeal cartilage

Explanation: Laryngeal cartilages (e.g., the thyroid, cricoid, arytenoid cartilages) are derived from neural crest. The endothelial cells in the simple squamous epithelium that lines the pulmonary capillaries are derived from visceral mesoderm. The epithelial lining of primary bronchi is derived from endoderm. Tracheal glands and epithelium both derive from endoderm.